File commonly used for flaring of the canal & retreatment:
1. H-file
2. K-file
3. K-flex file
4. Lentulospiral

Correct answer: 1. H-file